Which of the following statements regarding the flow of lymph from lower limb is truea) ↑sed with change from supine to standing positionb) ↓sed in increased capillary permeabilityc) ↓sed in deep vein valve incompetenced) ↑ed by massage of foot
1. b
2. ad
3. ac
4. ab

Correct answer: 2. ad

Explanation: Massage gives compression to lymphatics, so that the return is increased. Similarly, when there is a change of position from supine to standing, the fluid pressure increases in the legs. This also aids in lymph flow.